Accommodation is maximum in which of the following?
1. Young
2. Children
3. Middle aged
4. Old

Correct answer: 2. Children

Explanation: As the age increases, amplitude of accomodation decreases. Accommodation Change of shape of lens to increase the power of lens to look at near objects. min distance for light rays to become parallel =6m nearer object , rays are more divergent. distant object , rays are parallel. increase curvature of lens = increase power of lens (16 D + 19) rays of light can be focused on retina